Which of the following statements about vigabatrin is TRUE ?
1. Blocks neuronal reuptake of GABA
2. Drug of choice in absence seizures
3. Life threatening skin disorders may occur
4. Visual disturbances can occur

Correct answer: 4. Visual disturbances can occur